Female can give consent for sex if she is above:
1. 12 years
2. 16 years
3. 18 years
4. 21 years

Correct answer: 3. 18 years

Explanation: Ans:C.)18 years. Explanation:The Criminal Law (Amendment) Act, 2013:The age of consent in India has been increased to 18 years, which means any sexual activity irrespective of presence of consent with a woman below the age of 18 will constitute statutory rape.